NOT true about co-relation is -
1. Doesn't tell about causation
2. Tells about risk of the disease
3. -1.0 correlation shows linear relationship
4. Tells association between two variables

Correct answer: 2. Tells about risk of the disease

Explanation: Ans. is 'b' i.e., Tells about risk about the diseases Correlation o A correlation simply expresses the strength and direction of the relationship between two variables in terms of a correlation coefficient . o It does not tell about causation. o It does not tell about the risk of diseases. o Both -1.0 & +1.0 implies that there is a perfect linear relationship between the two variables. So much so that it is possible to know the exact value of one variable from the knowledge of the variable. o Sign only indicates the direction. o Positive sign means that high values of one variable are associated with high values of others. u Negative sign indicates that high value of one are associated with low values of others.